Lichen planus is associated with:
1. Koilonychia
2. Tinea versicolor
3. Psoriasis
4. Pterygium of nail

Correct answer: 4. Pterygium of nail

Explanation: Ans: (d) Pterygium of nailRef: Fitzpatrick Color Atlas 7th ed. /1008-09* Lichen planus (LP) is a disease of the skin and/or mucous membranes that resembles lichen.* It is an anautoimmune disorder.* Lichen planus may be categorized as affecting mucosal or cutaneous surfaces.* Cutaneous forms are those affecting the skin, scalp, and Nails* Pterygium of nail is characteristically seen in lichen planus.* Koilonychia is found in Iron deficiency anemia (not megaloblastic anemia).Patterns of Nail involvement in different conditions* Iron deficiency anemiaKoilonychia* Arsenic poisoningMee's Line* Lichen planusPterygium, Onychia, Onychorrhexis, Pitting* PsoriasisPitting of nail (thimble nail) Oil drop nailsOnycholysis: Detachment of nail plate